Meaning of baby has 15th percentile of head circumference is -
1. 15% of children will have HC more than that
2. 15% of HC, the child is having
3. 15% of children will have HC less than that
4. All

Correct answer: 3. 15% of children will have HC less than that

Explanation: Ans. is 'c' i.e., 15% of children will have HC less than that See table of above question. Centile (or percentile) divides the distribution into 100 equal parts for example 91 percentile means that 90% value below this and 9% value above this. So, the number of centile (percentile) inplies that the number - 1 value are below it, for example 40th percentile mean the 39% (40-1) values are below it. Now see the question, 15th percentile curve means that 85 percent of observations are expected to be above and 14 percent of observations are below it. Also know: o Median (middle most point in an ascending/descending distribution) divides a distribution in the ratio of 1 : 1. i) It is equivalent to second quartile (Q2) ii) It is equivalent to 50th centile (percentile). iii) Each segment (above and below the median) has n/2 subjects.